Which of the following is an antidiarrheal combination drug that contains atropine and may be contraindicated in treatment of diarrhea caused by intestinal organisms that may penetrate the gastrointestinal wall if transit time is excessively delayed?
1. Diphenoxylate
2. Sucralfate
3. Misoprostol
4. Metoclopramide

Correct answer: 1. Diphenoxylate

Explanation: Lomotil is a combination of diphenoxylate and atropine that reduces transit time and flow rate. Sucralfate is an anti-ulcer medication with fewer side effects than the H2 receptor blocker but also with less efficacy. Misoprostol also reduces acid secretion and may be helpful in reducing ulcer formation in patients taking steroids. Metoclopramide is an antagonist of dopamine receptors (D2) which produces a prokinetic and antinauseant action. Ref: Yaksh T.L., Wallace M.S. (2011). Chapter 18. Opioids, Analgesia, and Pain Management. In L.L. Brunton, B.A. Chabner, B.C. Knollmann (Eds), Goodman & Gilman's The Pharmacological Basis of Therapeutics, 12e.